Difference between total cations and anions is called-
1. Cation gap
2. Anion gap
3. Equivalent concentration
4. Molar concentration

Correct answer: 2. Anion gap

Explanation: Ans. is 'b' i.e., Anion gap "The anion gap is calculated by substracting the serum concentration of anions (Chloride and bicarbonates) from the concentration of cations (Na+ & K+)"Anion gap* The plasma anion gap is the total concentration of anions, excluding HCO3 and Cl, that are present in the plasma. It therefore represents the total plasma concentration of anions like albumin, phosphates, sulfates, and other organic acids.* Since the molar concentration of plasma anions and cations must be equal, the plasma anion gap can be calculated by substracting concentration of HCO3 and Cl from the total concentration of cations.* Since Na+ is the predominant cation in plasma (concentration of K+, Ca+2 and Mg+2 being negligible in comparison), the formula for anion gap can be wirtten as: -Plasma anion gap = Plasma Na+ - (Plasma HCO3 + Plasma Cl)* The normal value of anion gap is 12 +- 2 mEq/L. Plasma albumin accounts for most of the anion gap.* The urine anion gap provides an indirect way of estimating the urinary NH4+. It is given by the formula.Urine anion gap = Urinary Na+ + Urinary K+ - Urinary Cl* It assumes that the major cations in urine are Na+, K+, and NH4 while the major anion is only Cl since urinary HCO3 is zero at pH more than 6.5. Normally, the urinary anion gap is negative and gives the urinary NH4+ concentration. It becomes zero if renal ammonium production is defective and becomes positive in bicarbonaturia.